Cofactor for dopamine hydroxylase -
1. Fe
2. Mg
3. Mn
4. Cu

Correct answer: 4. Cu

Explanation: Ans. is 'd' i.e., Cu o Dopamine b-hydroxylase is a 'copper ' containing monooxygenase that requires ascorbic acid and molecular oxygen.o It catalyzes the formation of norepinephrine.